'Flash-back' phenomenon is seen with the use of -
1. Cannbis
2. Psilocybin
3. LSD
4. All of the above

Correct answer: 4. All of the above

Explanation: Flash-back is the spontaneous occurrence of previously experienced drug effects without taking the drug at the moment. Flash-back is usually associated with hallucinogens (LSD, Psilocybin, psilocin) and occasionally with cannabis (marijuana).